Most common cause of VIC in children due to
1. supracondylar humerus
2. lateral condyle humerus
3. medial condyle humerus
4. both bone forearm

Correct answer: 1. supracondylar humerus

Explanation: Ans. is 'a' i.e supracondylar of humerus